Tumor marker most helpful in follow up of a case of Epithelial carcinoma of ovary is :
1. CA - 125
2. Serum Alpha Fetoprotein
3. Serum human chorionic gonadotropin
4. Human Placental Lactogen

Correct answer: 1. CA - 125

Explanation: CA - 125